DNA restriction fragments are separated by
1. Paper chromatography
2. Agarose gel electrophoresis
3. Thin-layer chromatography
4. Ultracentrifugation

Correct answer: 2. Agarose gel electrophoresis

Explanation: Typically, a DNA molecule is digested with restriction enzymes, and the agarose gel electrophoresis is used as a diagnostic tool to visualize the fragments. An electric current is used to move the DNA molecules across an agarose gel, which is a polysaccharide matrix that functions as a so of sieve. Ref-D.M.Vasudevan 7/e p479